All are true about Hypothyroidism except:
1. Delayed dentition
2. Widened fontanelle
3. Distended abdomen
4. All are true

Correct answer: 4. All are true

Explanation: d. All are true(Ref: Nelson's 20/e p 2669-2773, Ghai 8/e p 516-521)If left untreated, a child with Hypothyroidism develops the following features:Growth will be stunted, the extremities are shortFace: Depressed bridge of nose, swollen eyelids, thick, broad, protruding tongueDelayed Dentition, hoarse voice; Broad hands with short fingers; Dry and scaly skin with little perspiration